Volume of air taken in and given out during normal respiration is referred to as:
1. IRV
2. TV
3. ERV
4. VC

Correct answer: 2. TV

Explanation: B i.e. T V